DOC for rapid cycling MDP
1. Li
2. Valproate
3. Calcium Channel Blocker
4. All

Correct answer: 2. Valproate

Explanation: B i.e. Valproate